All of the following organizations have their head quarter at Geneva EXCEPT:
1. UNICEF
2. WHO
3. ILO
4. None

Correct answer: 1. UNICEF

Explanation: Ans. a (UNICEF). (Ref. Park PSM 22nd/pg. 862)UNICEF (UNITED NATIONS INTERNATIONAL CHILDREN EDUCATION FOUNDATION)# Established in 1946# Regional office -Delhi# Head quarter -Newyork# Contents of child health (UNICEF) =- Child health- Child nutrition- Family and child welfare- Education# Currently UNICEF is promoting a campaign called "GOBI CAMPAIGN" to encourage 4 strategies for a "Child health revolution":# G for Growth charts# O for Oral rehydration# B for Breast-feeding# I for Immunization against measles, diptheria, polio, pertusis, tetanus, and TB.WHO (WORLD HEALTH ORGANIZATION)# The concept of primary health care came into light in 1978 following an international conference in Alma-Ata, USSR.# The WHO is a specialized, non-political, health agency of the United Nations, with headquarters at Geneva.ILO (INTERNATIONAL LABOUR ORGANIZATION)# Established in 1919 as an affiliate of the League of Nations to improve the working and living conditions of the working population all over the world.# Its purposes are:# To contribute to establishment of lasting peace by promoting social justice# To improve, through international action, labour conditions, and living standards# To promote economic and social stability# Its headquarters are in Geneva, Switzerland.